The 'xi' in any monoclonal antibody represents
1. Name
2. Chimeric
3. Tumour targeted for
4. None of the above

Correct answer: 2. Chimeric

Explanation: A chimeric antibody (cAb) is an antibody made by fusing the antigen binding region (variable domains of the heavy and light chains, VH and VL) from one species like a mouse, with the constant domain (effector region) from another species. REF KD Tripathi 8th ed